Number of teeth at 7 years:
1. 20
2. 24
3. 26
4. 28

Correct answer: 2. 24

Explanation: Ans. 24